All of the following are intracerebellar nuclei except
1. Dentate nucleus
2. Fastigate nucleus
3. Globose nucleus
4. Red nucleus

Correct answer: 4. Red nucleus

Explanation: Grey Matter of CerebellumIt consists of the cerebellar cortex and the cerebellar nuclei.There are four pairs of nuclei: (1) The nucleus dentatus is neocerebellar; (2) the nucleus globosus and (3) the nucleus emboliform are paleocerebellar;and (4) the nucleus fastigii is archicerebellar.Red nucleus is present in thalamusRef: BD Chaurasia; 6th edition; Volume 3; Cerebellum; Page no: 339